Epornitic is defined as ?
1. Endemic in animals
2. Epidemic in animals
3. Endemic in birds
4. Epidemic in birds

Correct answer: 4. Epidemic in birds

Explanation: Ans. is 'd' i.e., Epidemic in birdsEpizootic is an outbreak (epidemic) of disease in an animal population i.g., anthrax, brucellosis, rabies, influenza, Rift Valley fever, Q fever, Japanese encephalitis and equine encephalitis.Enzootic is an endemic occuring in animals e.g., anthrax, rabies, brucellosis, bovine tuberculosis, endemic typhus, tick typhus.Epornithic is an epidemic of disease in a bird population